The diagnostic criteria as proposed by FLINTER for Alport syndrome has all the features, EXCEPT:
1. Positive family history
2. Typical changes in renal biopsy specimen
3. High tone sensorineural deafness
4. Cardiovascular changes

Correct answer: 4. Cardiovascular changes

Explanation: Diagnostic criteria for classical X-linked Alport syndrome. At least three of the following four criteria must be fulfilled for a diagnosis of Alport syndrome to be made clinically: In a patient with microscopic hematuria A positive family history of hematuria with or without chronic renal failure. Typical ultrastructural GBM changes in a renal biopsy specimen. High-tone sensorineural deafness. Characteristic ophthalmological signs (lenticonus and/or macular flecks) Ref: Dan Med Bull 2009; 56:105-52